All of the following are muscles of the rotator cuff except -
1. Infraspinatus
2. Teres Major
3. Teres minor
4. Supraspinatus

Correct answer: 2. Teres Major

Explanation: Ans. is 'b' i.e., Teres Major * Rotator cuff (Musculotendinous cuff) is formed by blending of tendons of1. Supraspinatus (superiorly);2. Infraspinatus and teres minor (psoteriorly) and3. Subscapularis (anteriorly).